Amino acid carrying ammonia from muscle to liver
1. Alanine
2. Glutamine
3. Arginine
4. Lysine

Correct answer: 1. Alanine

Explanation: Under conditions of starvation, the glucose alanine cycle is of special metabolic significance (Fig. 9.30). Alanine is quantitatively the most important amino acid taken up by the liver from peripheral tissues, particularly from skeletal muscle. It forms a major participant in inter-organ transport of nitrogen (Figs 14.4 and 14.5).Ref: DM Vasudevan - Textbook of Biochemistry, 6th edition, page no: 187